All of the following are class Ic anti-arrhythmic drugs except?
1. Propafenone
2. Tocainide
3. Enacainide
4. Flecainide

Correct answer: 2. Tocainide

Explanation: CLASS I ANTI-ARRHYTHMICS Class Mechanism Drugs Ia Na+ and K+ channel blocker Quinidine Procainamide Ib Na+ channel blocker K+ channel opener Lignocaine Phenytoin Tocainide Ic Na+ Channel blocker Enacainide Flecainide Propafenone Tocainide: Class Ib anti-arrhythmic.